Left ovarian artery is the branch of?
1. Abdominal aorta
2. Inferior iliac artery
3. External iliac artery
4. Inferior epigastric artery

Correct answer: 1. Abdominal aorta

Explanation: ANSWER: (A) Abdominal aortaREF: Grays Anatomy 40th ed Ch 102Both right and left gonadal (testicular and ovarian) arteries arise anteriorly from the aorta a little inferior to the renal arteriesThe right gonadal vein opens into the inferior vena cava at an acute angle just inferior to the level of the renal veins, and the left gonadal vein opens into the left renal vein at a right angle